The following is related to hyperinflation of the lung
1. J -reflex
2. Cushing reflex
3. Bezold-jaisch reflex
4. Brainbridge refex

Correct answer: 1. J -reflex

Explanation: J -reflex is produced due to hyper inflation of the lung It produces: Apnoea followed by rapid shallow breathing, hypotension, bradycardia Ref:Guyton and Hall textbook of medical physiology 12th edition, page number:373